Osteitis fibrosa cystica refers to:
1. Paget's disease.
2. Fibrous dysplasia.
3. Hyperparathyroidism.
4. Osteogenesis imperfecta.

Correct answer: 3. Hyperparathyroidism.